The drug not used in acute asthma is
1. Salbutomol
2. Ipratropium
3. Montelukast
4. Hydrocortisone

Correct answer: 3. Montelukast

Explanation: Refer KDT 6/e p 222 Only bronchodilator drugs are useful for the treatment of acute attack of asthma Beta 2 agonists eg salbutomol, terbutaline. Antichokinergics eg Iprqtropoum, tiotropium Methylxanthine eg Theophylline